Which of the following is least narcotic:
1. Morphine
2. Codeine
3. Thebane
4. Papaverine

Correct answer: 4. Papaverine

Explanation: Ans. Papaverine